Suprabasal blister is seen in:
1. Pemphigus Folaceous
2. SSSS
3. Bullous impetigo
4. Hailey-Hailey disease

Correct answer: 4. Hailey-Hailey disease

Explanation: Suprabasal blister is seen with Pemphigus vulgaris, Darier's disease and Hailey-Halley disease.